Acclimatization does not include:
1. Hyperventilation
2. Decreased concentration of 2,3 DPG in RBC
3. Increased erythropoiesis
4. Kidney excrete more alkali

Correct answer: 2. Decreased concentration of 2,3 DPG in RBC

Explanation: Acclimatization: The respiratory alkalosis produced by the hyperventilation shifts the oxygen-hemoglobin dissociation curve to the left, but a concomitant increase in red blood cell 2,3-BPG tends to decrease the O2 affinity of hemoglobin. The net effect is a small increase in P50 (right shift).
Erythropoietin secretion increases promptly on ascent to high altitude. The increase in circulating red blood cells triggered by the erythropoietin begins in 2-3 days and is sustained as long as the individual remains at high altitude.